During retinoscopy of a 30 years old male, which cycloplegic is used routinely -
1. Atropine 1% ointment
2. Cyclopentolate 1% drop
3. Homatropine 2% drop
4. None of the above

Correct answer: 4. None of the above

Explanation: Ans. is 'd' i.e., None of the above o There is no need for cycloplegia as a routine in adults (20-40 years).Cycloplegic in retinoscopyo Cycloplegics are drugs which cause paralysis of ciliary muscles (accommodation) and dilatation ofpupil. The use of cycloplegics is useful in refraction and there are certain situations where they are indicated,o Because of their strong accommodative reserve, very young people (< 16 years) should always be refracted after the use of cyclopleagics : -<5 years of age: - Atropine 1 % ointment is the drug of choice.15 - 20years: - Homatropine (2% drop), cyclopentolate (1% drop) or tropicamide (5%, 10% drop) are used. Atropine must be used if the patient has a convergent squint or has high hypermetropia.o There is no need for cycloplegia as a routine in adults (20-40 years). However cycloplegics are indicated in following situations: -Accommodation is abnormally active (e.g., spasm of accommodation).Objective findings by retinoscopy do not agree with the patient's subjective requirement.Symptoms of accommodative asthenopia are present.If the pupil is small.o If the patient is above 40 years, cycloplegia is rarely necessary. Only mydriatic (10% phenylephrine) may be needed when the pupil is narrow or media is slightly hazy.